Most common plasma cell tumor is -
1. Plasmacytoma
2. Waldenstorm's macroglobinemia
3. Multiple myeloma
4. Primary amyloidosis

Correct answer: 3. Multiple myeloma

Explanation: Multiple myeloma is a malignant proliferation of plasma cells. In multiple myeloma,plasma cells produce immunoglobulin of a single heavy & light chain,a monoclonal protein commonly referred to as paraprotein.In some cases,only light chain is produced & this appears in the urine as Bence Jones protein .Reference:Davidson's principles & practice of medicine 22nd edition pg no 1046.